Color of dried semen becomes yellow to brown. Dried semen stain in clothes is identified by:
1. UV light
2. Spectroscopy
3. Magnifying lens
4. Infrared

Correct answer: 1. UV light

Explanation: When dried semen is examined under filtered ultraviolet light, they show a fluorescence of a bluish-white colour, which is not specific as other albuminous materials such as nasal, leucorrhoeal discharges and detergents also fluoresce. Fluorescence depends on choline of semen. Ref: The Essentials of Forensic Medicine and Toxicology, 27th edition, Page 369.